A four year old boy was admitted with a history of abdominal pain and fever for two months maculopapular rash for ten days, and dry cough, dyspnea and wheezing for three days. On examination liver and spleen were enlarged 4 cm and 3 cm respectivley below the costal margin. His hemoglobin was 10.0 g/dl, platelet count 3.7 x 109/L and total leukocyte count 70 x 109/L, which included 80% eosinophils Bone marrow examination revealed a cellular marrow comprising of 45% blasts and 34% Eosinophils and eosinophil precursors. The blasts stained negative for my eloperoxidase and nonspecific esterase and were positive for C D19, CD10, CD22 and CD20. Which one of the following statements is not true about disease?
1. Eosinophils are not part of the Neoplastic clone.
2. t(5:14) rearrangement may be detected in blasts.
3. Peripheral blood eosinophilia may normalize with chemotherapy
4. Inv (16) is often detected in the blasts and the eosinophils

Correct answer: 4. Inv (16) is often detected in the blasts and the eosinophils